Skull base osteomyelitis is
1. Otomycosis
2. Tumor of the Ear
3. Malignant Otitis Externa
4. Chronic serous Otitis Media

Correct answer: 3. Malignant Otitis Externa